Which of the following is seen in iridodialysis:
1. Biocular diplopia
2. Degenerative condition
3. Iris is torn away from its ciliary attachment
4. Normal pupil

Correct answer: 3. Iris is torn away from its ciliary attachment

Explanation: Ans. C: Iris is torn away from its ciliary attachment In iridodialysis there is rupture of the iris at its iris root and it frequently occurs following blunt trauma or penetrating injuries to the globe. Clinical features: A. Symptoms: Minimal with small iridodialyses With larger iridodyalises, patients may experience double pupil effect, monocular diplopia, glare and phophobia B. Signs: Commonly associated with hyphema and an irregular pupil (D-shaped pupil) May be single or multiple, small or extensive radially Damage of the trabecular meshwork and peripheral anterior synechiae may cause 10P elevation C. Management: Bed rest and observation. Sunglasses, tinted contact lenses or those with artificial pupil may help reduce the symptoms. Surgical repair may be considered in cases of large dialyses or persistent monocular diplopia